All of the following are true about Hashimoto's thyroiditis, except
1. Follicular destruction
2. Increase in lymphocytes
3. Oncocytic metaplasia
4. Orphan Annie eye nuclei

Correct answer: 4. Orphan Annie eye nuclei

Explanation: Orphan Annie eye nuclei is a feature of papillary carcinoma of thyroid due to presence of finely dispersed chromatin. But Hashimotos thyroiditis is an autoimmune condition which causes follicular destruction due to presence of auto antibodies against thyroid cells. It also shows lymphocytic infiltration and oncocytic metaplasia. (Ref :ROBBINS textbook of pathology endocrinology) ref img